Early morning awakening and reduced latency of REM sleep is suggestive of
1. Delirium
2. Depression
3. Schizophrenia
4. Anxiety

Correct answer: 2. Depression

Explanation: Disturbance of biological functions is common in depression, with insomnia (or sometimes increased sleep), loss of appetite and weight (or sometimes hyperphagia and weight gain), and loss of sexual drive. The somatic syndrome in depression is characterised by: a. A significant decrease in appetite or weight b. Early morning awakening, at least 2 (or more) hours before the usual time of awakening c. Diurnal variation, with depression being worst in the morning d. Pervasive loss of interest and loss of reactivity to pleasurable stimuli e. Psychomotor agitation or retardation. Ref: A Short Textbook of Psychiatry, Niraj Ahuja, 7th Edition, pg. no.72